Sudden Hematemesis in a patient on Alcohol with mucosal tear is
1. Mallory Weiss tear
2. Dieulafoys
3. Boerhaave syndrome
4. Menetrier's disease

Correct answer: 1. Mallory Weiss tear

Explanation: Ans. (a) Mallory Weiss tearRef: Surgery Sixer 3rd Edition Page 328* Mallory Weiss tear is due to sudden tear in OG junction of Mucosa and Submucosa due to Sudden vomiting.* The exact location of tear is at lesser curve at Cardia part Below OG junction, cardia while vomiting.* Results in hematemesis and is self limiting.* It is a partial tear happened due to unrelaxed